Most asymmetrical premolar is
1. Upper 1st premolar
2. Lower 1st premolar
3. Upper 2nd premolar
4. Lower 2nd premolar

Correct answer: 1. Upper 1st premolar